Epsilon aminocaproic acid (EACA) can be used in the treatment of adverse effects caused by :
1. Streptokinase
2. Heparin
3. Warfarin
4. Any of the above

Correct answer: 1. Streptokinase